As per WHO, low birth weight is defined as
1. Birth weight less than 2.5kg
2. Birth weight less than 10th percentile
3. Gestational age less than 28weeks
4. Gestational age less than 34 weeks

Correct answer: 1. Birth weight less than 2.5kg

Explanation: An LBW infant is an infant with a birth weight of less than 2.5 kg regardless of gestational age. It includesa) Preterm babiesb) Small for date babiespark 23e pg: 536